Streptococcus and pneumococcus are differentiated by , all except
1. Bile salt solubility
2. Growth charcteristic
3. Gram staining
4. Inulin fermentation

Correct answer: 3. Gram staining